Regarding alcoholic gaze nystagmus, which one of the following is false
1. It appears at blood alcohol levels of 50 - 100 mg %
2. Horizontal gaze nystagmus is pathognomic of alcohol intoxication
3. Positional alcohol nystagmus I occurs 30 minutes after ingestion
4. Positional alcohol nystagmus II occurs 5 - 6 hours after ingestion

Correct answer: 2. Horizontal gaze nystagmus is pathognomic of alcohol intoxication

Explanation: Alcoholic gaze nystagmus - It appears at blood alcohol levels of 50 - 100 mg % - Positional alcohol nystagmus I occurs 30 minutes after ingestion - Positional alcohol nystagmus II occurs 5 - 6 hours after ingestion - Horizontal gaze nystagmus is not pathognomic of alcohol intoxication, can occur in pathological conditions, ingestion of sedatives and transquillizers